AKT1 E17K somatic mutation is associated with
1. Gastric carcinoma
2. Breast carcinoma
3. Ovarian carcinoma
4. Pancreatic carcinoma

Correct answer: 2. Breast carcinoma

Explanation: AKT1 is a member of the serine-threonine kinase class that plays a key role in cellular processes, including growth, proliferation, survival, and angiogenesis. It is a downstream mediator of phosphatidylinositol 3-kinase which, along with AKT1, is a key mediator of proliferation and survival pathways frequently activated in cancer .The single hotspot mutation AKT1 has been described in several cancers, with the highest incidence observed in breast cancer.